Metalloproteins help in jaundice by the following mechanism :
1. Increased glucoronyl transferase activity
2. Inhibit heme oxygenase
3. Decrease RBC lysis
4. Increase Y and Z receptors

Correct answer: 2. Inhibit heme oxygenase

Explanation: B i.e. Inhibit heme oxygenaseTin & Zn porphyrins and mesoporphyrins inhibits the activity of heme oxygenase Q and decrease formation of bilirubin Best method for Estimation of .Hb come in blood is - Cyanmethhemoglobin methodQ